Carnoys solution is used in the treatment of:
1. Odontogenic keratocyst
2. Ameloblastoma
3. Dentigerous cyst
4. Mucocele

Correct answer: 1. Odontogenic keratocyst